Which prostaglandin helps in cervical ripening?
1. PGI2
2. PGF2
3. PGE2
4. PGD2

Correct answer: 3. PGE2

Explanation: Dinoprostone - PGE2. Orally - to augmenting labor & to check PPH. Vaginally- softens the cervix before labor induction. Preferred over oxytocin for labor induction in pre-eclampsia, eclampsia, cardiac & renal disease. ESSENTIALS OF MEDICAL PHARMACOLOGY;7TH EDITION;KD TRIPATHI;PAGE NO 189